Drug commonly used in the treatment of echinococcosis is:
1. Albendazole
2. Ivermectin
3. Pyrental prermeated
4. Metronidazole

Correct answer: 1. Albendazole

Explanation: Albendazole: It is a subsequently introduced congener of mebendazole: retains the broad-spectrum activity and excellent tolerability of its predecessor, and has the advantage of single dose administration in many case.Three day treatment has been found necessary for tapeworms including H. nana. Results in hydatid disease and hookworm have been superior to mebendazole. Albendazole has weak microfilaricidal action, kills cysticerci, hydatid larvae, ova of ascaris/hookworm and is also effective in cutaneous larva migrans. ESSENTIALS OF MEDICAL PHARMACOLOGY K.D.TRKPATHI SIXTH EDITION PAGE NO:810